Role of growth hormone in spermatogenesis ?
1. Late division of spermatocytes
2. Early division of spermatogonia
3. Formation of Acrosomes
4. Stimulation of sertoli and Leydig cells

Correct answer: 2. Early division of spermatogonia

Explanation: Ans. is `b' i.e., Early division of spermatogoniaGrowth hormone specifically promotes early divisions of spermatogonia themselves. In the absence of GH, spermatogenesis is severely deficient or absent.Growth hormone is also essential for general metabolic process in testis.Hormones involved in spermatogenesis Spermatogenesis is influenced by many hormones. Hormones required for spermatogenesis are FSH, LH, testosterone, estrogen, growth hormones inhibin and activin.FSH is responsible for initiation of spermatogenesis. It binds with sertoli cells and spermatogonia and induces the proliferation of spermatogonia. It stimulates ceoli cells to secrete endrogen binding protein, inhibin, mullerian inhibing substance and estrogen.LH stimulates leydig cells to secrete testosterone.Testosterone is the principles hormone which directly stimulates spermatogenesis. It is responsible for the sequence of remaining stages of spermatogenesis (after initiatin by FSH). It is also responsible for maintenance of spermatogenesis.Estrogen is formed from testosterone (by aromatase) in sertoli cells. It is essential for spermeogenesis (last step of spermatogenesis, i.e. formation of spermatozoa from spermatids).Growth hormone is essentialy promotes early division of spermatogonia.Inhibin plays an important role in regulation of spermatogenesis by feedback inhibition of FSH secretion.Activin stimulates FSH secretion and stimulates spermatogenesis.